A laboratory technician was accidentally exposed to a HIV serum positive sample, which of the following shall be the role of zidovudine in treatment of this patient ?
1. Protects against acquiring the HIV infection
2. Makes the patient seronegative
3. Delays the progression of disease
4. None

Correct answer: 1. Protects against acquiring the HIV infection